The treatment most likely to benefit a patient of massive pulmonary embolism in shock ?
1. Thrombolytic therapy
2. Inotropic agent
3. Vasodilator therapy
4. Diuretic therapy

Correct answer: 1. Thrombolytic therapy

Explanation: Ans. is 'a' i.e., Thrombolytic therapy Treatment of patients with pulmonary embolism based on risk stratificationPatient with pulmonary embolismLow risk (Small PE)Intermediate nsk (Submassive PE)High nsk (Massive PE)o Normotensiono Normotensiono HypotensionPlusPlusPluso Normal right ventricularo Right ventrucular dysfunctiono R V dysfunctionfunction(RV hypokinesia on echocardiogram) |||o T reatment of choice iso Treatment is controversialo Treatment of choice isanticoagulation Thrombolysis (or Embolectomy )